All of the following drugs have activity against hepatitis
1. Lamivudine
2. Zidovudine
3. Emtricitabine
4. Telbivudine

Correct answer: 2. Zidovudine

Explanation: Refer KDT 7th/803-805 Anti HiV drugs effective against HBV Are L-Lamivudine E-Emtricitabine T:Tenofovir